Normal Pulmonary Capillary Wedge Pressure (PCWP) is:
1. 6-12 mm Hg
2. 10-14 mm Hg
3. 12-18 mm Hg
4. 18-25 mm Hg

Correct answer: 1. 6-12 mm Hg

Explanation: Answer is A (6-12 mm Hg): Capillary Wedge Pressure is between 6 to 12 mmHg. Pulmonary capillary wedge pressure (PCWP) (Normal = 6 to 12 mm Hg) PCWP is recorded when the PA catheter balloon is inflated and wedged in a branch of the pulmonary artery. PCWP reflects left atrial pressure When there is no obstruction between the left atrium and ventricle PCWP =left atrial pressure = left ventricular end-diastolic pressure)